Which of the following is a 'Pulsating tumor' of the bone?
1. Osteosarcoma
2. Chondrosarcoma
3. Ewing's sarcoma
4. Eosinophilic Granuloma

Correct answer: 1. Osteosarcoma

Explanation: Telengiectatic osteosarcoma may present as a pulsatile tumor of bone. Telengiectatic osteosarcoma is an aggressive lytic form of osteosarcoma that occurs as a soft cystic tumor containing aneurysmalty dilated blood filled spaces. Ref: Paediatric and adolescent osteosarcoma by Norman Jaffe, Page 105; Annals of Surgery : Pulsating Tumors Of Bone; Pulsating, Benign Giant Cell Tumors Of Bone; Pulsating Tumors Of The Sternum; Other references.